Black bile stones are composed of:
1. Calcium bilirubinate stones
2. Cholesterol monohydrate stones
3. Calcium monohydrate stones
4. Cholesterol bilirubinate stones

Correct answer: 1. Calcium bilirubinate stones

Explanation: There are cholesterol stones and pigment stones. Cholesterol gallstones usually contain >50% cholesterol monohydrate. Pigment stones are composed primarily of calcium bilirubinate; they contain <20% cholesterol. Reference: Harrisons Principles of Internal Medicine, 18th Edition, Pages 2616-17